An elderly hypertensive has diabetes mellitus and bilateral renal artery stenosis. The best management is -
1. Enalapril
2. Verapami I
3. Beta blockers
4. Thiazides

Correct answer: 2. Verapami I

Explanation: Ans. is 'b' i.e., Verapamil o ACE inhibitors are the most appropriate antihypertensives in patients with diabetes, nephropathy, left ventricular hypertrophy, CHF, angina and post MI cases. o But ACE inhibitors are contraindicated in bilateral renal artery stenosis. o CCBs are next to ACE inhibitors in reducing albuminuria and slowing disease progression in diabetic nephropathy. o Therefore a CCBs (verapamil) should be given to this patient. Remember o Thiazide diuretic with added If+ sparing diuretic is the first choice treatment of essential hypertension.